All of the following are seen in digitalis toxicity except
1. Ventricular bigeminy
2. Paroxysmal atrial tachycardia with fast ventricular rate
3. Regularization of atrial fibrillation
4. Bidirectional ventricular tachycardia

Correct answer: 2. Paroxysmal atrial tachycardia with fast ventricular rate

Explanation: Digitalis has a narrow margin of safety. T Toxicity in cardiac is manifested as ventricular premature beats, pulses bigeminy, ventricular tachycardia, atrial tachycardia, atrial fibrillation, atrial flutter Most common among these is pulses bigeminy (REF. Essentials of medical pharmacology KD TRIPATHI 8th ed.)